As per RNTCP guidelines first do in TB suspect case -
1. Chest X-ray
2. Sputum culture
3. Sputum microscopy
4. Start short-course chemotherapy

Correct answer: 3. Sputum microscopy

Explanation: Ans. is 'c' i.e., Sputum microscopy Treatment stratgies in RNTCPo Under the RNTCP active case finding is not pursuedo Case finding is passive.o Patients presenting thremselves with symptoms suspicious of tuberculosis are screened through 2 sputum smear examination.o Sputum microscopic examination is done in designated RNTCP microscopy centres.o It is essential to examine 2 sputum specimens of each patient before a conclusive diagnosis can be made.o If only 1 sputum smear is positive, chest x-ray helps in diagnosis.o Once the diagnosis is confirmed, treatment is started according to DOTS (Directly observed therapy short term).o Patient are expected to collect drugs once a month (not daily) on fixed dates from the nearest treatment centre.